Radiological Contrast to be preferred for demonstrating TO fistula
1. High osmolar iodine contrast
2. Low osmolar iodine contrast
3. Gadolinium-DTPA
4. Thick barium sulphate suspension

Correct answer: 2. Low osmolar iodine contrast